Macula is stimulated by
1. Gravity
2. Head position change
3. Linear acceleration
4. All of the above

Correct answer: 4. All of the above

Explanation: Macula senses the position of the head in response to gravity and linear acceleration. Ref: Diseases of EAR, NOSE and THROAT by PL Dhingra; 6th edition; page no.16